Blood components are all except -
1. Whole blood
2. Platelet concentrate
3. Fresh frozen plasma
4. RBC concentrate

Correct answer: 1. Whole blood

Explanation: Blood components are prepared from whole blood collected from individual donors & include red cells,platelet,plasma & cryoprecipitate.Reference :Davidson's principles & practice of medicine 22nd edition pg no 1012.